Bone tumour arising from metaphysis:
1. Osteogenic sarcoma
2. Ewing sarcoma
3. Osteoclastoma
4. Osteoid osteoma

Correct answer: 1. Osteogenic sarcoma

Explanation: Ans. A i.e. Osteogenic sarcoma Osteosarcoma Location: Metaphysis MC site in body: Lower end of femur X-ray appearance: - Sunburst appearance, - Codman's triangle Special feature: Secondaries in lungs Treatment: - Chemotherapy, - Limb salvage surgery